Dose of zinc recommended for 9 month old during acute diarrhoea is:
1. 5 mg daily
2. 10 mg daily
3. 20 mg daily
4. 25 mg daily

Correct answer: 3. 20 mg daily

Explanation: Zinc supplement given during an acute diarrhoea episode reduces severity and duration of disease. WHO and UNICEF recommend that children <6 months be given 10 mg zinc daily, while children > 6 months be given 20 mg daily. The recommended duration for treatment is for 10 to 14 days. Ref: Park 21st edition, page 204.